Sparrow foot marks are seen in?
1. Gunshot injuries
2. Stab injury of face
3. Vitriolage
4. Windshield glass injury

Correct answer: 4. Windshield glass injury

Explanation: the synopsis of forensic medicine & toxicology; Dr k.s narayan reddy; 28th edition ;pg.no. 150 Multiple punctate lacerations of the face are produced due to the shattering of the wind screen glass into multiple small fragments with relatively blunt edges (SPARROW FOOT MARKS) .